Zellwenger syndrome, defect is in-
1. Endoplasmic reticulum
2. Lysosome
3. Mitochondria
4. Peroxisorne

Correct answer: 4. Peroxisorne